Endoscopy tube sterilized by -
1. 2 % glutaraldehyde
2. Na hypochlorite
3. Ethylene dioxide
4. Ionizing radiation

Correct answer: 1. 2 % glutaraldehyde

Explanation: Ans. is 'a' i.e., 2 % glutaraldehyde o 2% Glutaraldehyde (cidex) is most often used for equipment such as endoscope that cannot be sterilized or disinfected by heat.Procedure of sterilization of some imnortant materialsMaterialMethodso Inoculating loop or wire, the tip of forceps and searing spatulasFlamingo Contaminated cloth, animal carcasses and pathological materialIncinerationo Glasswares, syringes, petridishes, test tubes. Flasks, surgical instrumentsHot air oveno Most of the culture mediaAutoclaving or membrane filtero Sharp instruments5% cresol or hot air oveno Clinical thermometersSavlono Cystoscopes, bronchoscopes and other endoscopes,corrugated rubber anaesthetic tubes, face masks, plastic endotracheal tubes.Glutaraldehydeo MilkPasturisationo Suture material except catgutAutoclavingo CatgutIonizing radiationo Bacterial vaccinesVaccine batho Dressing, aprons, gloves, catheters, surgical instruments except sharp instrumentsAutoclavingo Heat sensitive cathaters, Wards fumigation, laboratories, sick rooms operation theatresFormaldehyde gas or U.V. rayso Prepacked items such as syringes and cathetersInfrared radiationo Culture media containing gelatin or sugarTyndallisation